Tolerance is seen in?
1. Alcohol dependent syndrome
2. Schizophrenia
3. OCD
4. All of the above

Correct answer: 1. Alcohol dependent syndrome

Explanation: Ans. A. Alcohol dependent syndrome Alcohol dependent syndromeAlcohol dependent syndrome uses the same criteria for dependence for other substances, i.e., three or more of the following : -ToleranceWithdrawal symptomsAlcohol is taken in larger amount or for longer period.Persistent desire or sense of compulsion to take alcohol.A great deal of time spent to obtain alcohol, to use alcohol or to recover from its effect.Neglect of important social, occupational and recreational activities.